Middle aged female with mass in sella turcica hormone increased is -
1. Prolactin
2. Thyroxine
3. Extrogen
4. ADH

Correct answer: 1. Prolactin

Explanation: The sella turcica is a saddle shaped depression of the sphenoid bone.
It forms the caudal border of the pituitary gland. Sella turcica is an anatomically complex area with a number of different potential pathologies especially neoplastic process.
Pathologies of sella turcica can lead to important clinical presentations such as hormonal imbalances from pathologies affecting the pituitary gland and neurological symptoms from the mass effect.
Sella turcica is critically located as several structures pass close to it due to compression of the adjacent structures.

Important anatomical structures related to sella

Optic chiasm
Pituiatry gland
Internal carotids​
Gavernous sinus and cranial nerves
Sphenoid sinuses